A 60 year old male patient operated for cataract 6 months back now complains of floaters and sudden loss of vision. The diagnosis is –
1. Vitreous hemorhage
2. Retinal detachment
3. Central retinal artery occlusion
4. Cystoid macular edema

Correct answer: 2. Retinal detachment

Explanation: Amongst the given options, retinal detachment and vitreous hemorrhage can cause floaters with sudden loss of vision. However, vitreous hemorrhage is not a late complication of cataract surgery.
Late complications ofcataract surgely are - cystoid macular oedema, retinal detachment, epithelial ingrowth, fibrous ingrowth, vitreous touch syndrome, after cataract.